All of the following are branches of maxillary artery except
1. Artery to pterygoid canal
2. Pharyngeal artery
3. Greater palatine artery
4. Ascending pharyngeal artery

Correct answer: 4. Ascending pharyngeal artery

Explanation: Ascending pharyngeal artery is branch of external cartotid artery.